Alkaline phosphatase is decreased in-
1. ypophosphatasia
2. Primary biliary cirrhosis
3. Hyperphosphatemia
4. Hepatitis A

Correct answer: 1. ypophosphatasia

Explanation: due to excessive depletion of phosphate there occur decreased alkaline phosphatase ( Harrison 17 pg 2370)